All drugs cause interstitial lung disease, except:
1. Phenytoin sodium
2. Sulphonamides
3. Busulphan
4. Alpha methyl dopa

Correct answer: 4. Alpha methyl dopa

Explanation: Drugs causing ILD: amphotericin B, minocycline, methotrexate (MTX), and nitrofurantoin, amiodarone, gold, aspirin, penicillamine, adalimumab, busulphan, bleomycin, phenytoin, sulphonamides, azathioprine, chlorambucil, carmustine, docetaxel, paclitaxel, bromocriptine etc Ref KD Tripathi 8th ed